Most common site for vertebral cancer is
1. Cervical
2. Lumbosacral
3. Thoracic
4. Cervicodorsal

Correct answer: 3. Thoracic

Explanation: All the vertebral cancer pathologies tend to involve mainly the thoracic and the lumbar areas commonly (thoracic >>> lumber) and hence the most common site for vertebral cancers in thoracolumbar(Refer: Mohindra's Fundamentals of Orthopedics, 2nd edition, pg no. 501)